True about peripheral blood smear of malaria are all except?
1. Single ring form in P vivax
2. Multiple ring form in P. falciparum
3. Enlarged erythrocytes in P. vivax
4. Enlarged erythrocytes in P falciparum

Correct answer: 4. Enlarged erythrocytes in P falciparum

Explanation: Ans. is 'd' i.e., Enlarged erythrocytes in P falciparumSingle infection (single ring form) per erythrocyte is seen in, P vivax malaria, whereas, P faciparum malaria is characterized by multiple infections (multiple rings) per erythrocyte, Infected erythrocyte is enlarged in P vivax malaria whereas, it is of normal size in P falciparum malaria.